Most common site of intracranial hemorrhage in hepertensive hemorrhage is -
1. Basal ganglia
2. Brainstem
3. Cerebellum
4. Hippocampus

Correct answer: 1. Basal ganglia